Regarding HMP shunt all of the following are true except
1. Occurs in the cytosol
2. No ATP is produced in the cycle
3. It is active in Adipose tissue, Liver and Gonads
4. The oxidative phase generates NADPH and the Non oxidative phase generates pyruvate

Correct answer: 4. The oxidative phase generates NADPH and the Non oxidative phase generates pyruvate

Explanation: Hexose monophosphate shunt is a metabolic pathway parallel to glycolysis. It generates NADPH and pentoses as well as ribose-5-phosphate the last one a precursor for the synthesis of nucleotides.There are two distinct phases in the pathway. The first is the oxidative phase, in which NADPH is generated, and the second is the non-oxidative synthesis of 5-carbon sugars. Ref: DM Vasudevan, 7th edition, page no: 130